Myringotomy is:
1. Surgical opening in Eustachian tube
2. Surgical opening in tympanic membrane
3. Surgical opening in semicircular canal
4. None

Correct answer: 2. Surgical opening in tympanic membrane

Explanation: Myringotomy is a surgical procedure of the eardrum or tympanic membrane.The procedure is performed by making a small incision with a myringotomy knife through the layers of tympanic membrane.This surgical procedure permits direct access to the middle ear space and allows the release of middle-ear fluid, which is the end product of otitis media with effusion (OME), whether acute or chronic.